Most common site for nasopharyngeal carcinoma:
1. Nasal septum
2. Fossa of rosenmuller
3. Vault of nasopharynx
4. Anterosuperior wall

Correct answer: 2. Fossa of rosenmuller

Explanation: Nasopharyngeal carcinoma most commonly arises from fossa of rosenmuller in lateral wall of nasopharynx.